Cardiac output in 1./min divided by heart rate equals:
1. Cardiac efficiency
2. Mean stroke volume
3. Cardiac index
4. Mean arterial pressure

Correct answer: 2. Mean stroke volume

Explanation: B i.e. Mean stroke volume